Primary action of inferior oblique ?
1. Abduction
2. Adduction
3. Extorsion
4. Elevation

Correct answer: 3. Extorsion

Explanation: Ans. is 'c' i.e., Extorsion